Ptosis results from trauma to which nerve
1. VII
2. VIII
3. III
4. VI

Correct answer: 3. III

Explanation: Ans. is 'c' i.e. III C.N. Palsy of Levator palpebrae superioris supplied by III C.N. results in ptosis.